Metabolic alkalosis is seen in all except :
1. Thaizide diuretic therapy
2. Prolonged vomiting
3. Uretero-sigmoidostomy
4. Cushing's disease

Correct answer: 3. Uretero-sigmoidostomy

Explanation: Answer is C (Uretero-sigmoidostomy): Ureterosigmoidostomy is a cause for normal anion gap type M eta bolic acidosis produced due to loss of bicarbonate in feces. All other options mentioned in the question are causes of metabolic alkalosis.